The primary endogenous substrate for nitric oxide synthase (NOS) is :
1. Citrulline
2. Arginine
3. Heme
4. Methionine

Correct answer: 2. Arginine